The increase in size of individual cells is referred as:
1. Hypertrophy
2. Hyperplasia
3. Hypodontia
4. Differentiation

Correct answer: 1. Hypertrophy